Which hormone produced by the human placenta has LH-like activity?
1. Progesterone
2. Testosterone
3. Human chorionic gonadotropin
4. Luteinizing hormone

Correct answer: 3. Human chorionic gonadotropin

Explanation: Human chorionic gonadotropin (hCG) is produced in large quantities by the human placenta. It is used as a pregnancy indicator around 2-weeks post copulation. This hormone is composed of an alpha and a beta subunit. Like other gonadotropins, hCG is also glycosylated which influences biological activity. Human chorionic gonadotropin (hCG) is often used as an exogenous source of LH to try and induce ovulation in some of the domestic species. Ref: Taylor R.N., Badell M.L. (2011). Chapter 16. The Endocrinology of Pregnancy. In D.G. Gardner, D. Shoback (Eds), Greenspan's Basic & Clinical Endocrinology, 9e.